Most common cause of neuropathic joint ?
1. Leprosy
2. ) Tabes dorsalis
3. Diabetes
4. Nerve injury

Correct answer: 3. Diabetes

Explanation: Ans. is `c' i.e., Diabetes Neuropathic joint (Charcot's joint) o It is a progressive destructive arthritis associated with loss of pain sensationx, proprioception or both, in addition normal muscular reflexes that modulate joint movements are decreased. Without these protective mechanisms, joints are subjected to repeated trauma, resulting in progressive cartilage and bone damage. o It is most commonly caused by diabetes mellitus. Causes of Neuropathic joint disease (Charcoat's joint) Causes of Neuropathic joint disease (Charcoat's joint) Diabetes mellitus (most common) Amyloidosis Tabes Dorsalis Leprosy Meningomyelocele Congenital indifference to pain Syringomyelia Peroneal muscular atrophy